Skip lesions seen on macroscopic visualization of gut wall is characteristic of
1. Ulcerative colitis
2. Crohn's colitis
3. Typhoid
4. Ischemic bowel disease

Correct answer: 2. Crohn's colitis

Explanation: .In crohn's disease,Fibrosis, stricture formation, deep ulcers, oedema of mucosa between ulcer areas which looks like 'cobble stone', skipped normal areas in between, serosal opacity, mesen-teric fat stranding, enlarged mesenteric lymph nodes, abscesses in the mesentery, fistula are the pathology. Small mucosal aphthous ulcers are earliest gross feature. in this disease ,Skip lesions are typical. ref:SRB's manual of surgery ,ed 3,pg no 826